A boy with multiple bullous lesions over trunk and periostitis on x-rays. What should be the next investigation
1. VDRL of mother & child
2. PCR for maternal TB
3. HBsAg screening
4. ELISA of mother and Child

Correct answer: 1. VDRL of mother & child

Explanation: A i.e. VDRL of mother & child Vescobullous lesion with periostitisQ indicate congenital syphilis; so VDRL shoud be done.